2 years old child was brought to the emergency department. He was having convulsions. On a rapid general physical examination kyphoscoliosis was discovered X-ray showed swollen lower end of radius. What is the likely diagnosis?
1. Osteomalacia
2. Keratomalacia
3. Rickets
4. Pellagra

Correct answer: 3. Rickets